IOC for cardiac tamponede
1. 2D - Echo
2. USG
3. CT
4. MRI

Correct answer: 1. 2D - Echo

Explanation: IOC for cardiac tamponade - 2D Echo.
IOC for cardiomyopathy  - 2D Echo.